Radioisotope used systemically in Polycythemia rubra vera.
1. 32p
2. 131I
3. Strontium-89
4. Rhenium-186

Correct answer: 1. 32p

Explanation: 32p - Polycythemia rubra vera.
Rhenium -186; Painful bone metastasis.